Gastric lavage is contraindicated in?
1. Organo-Phosphosphate poisoning
2. Hydrocarbons
3. Bicarbonate
4. PCM toxicity

Correct answer: 2. Hydrocarbons

Explanation: Contraindications of gastric lavage: Absolute: Corrosives to prevent further damage from perforation (except carbolic acid - causes leathery mucosa of stomach - no risk of perforation). Relative: 1. Convulsant - may induce more convulsions 2. Comatose - |change of aspiration.3. Varices - can cause bleeding 4. Volatile - hydrocarbons / kerosene: risk of aspiration reading to chemical pneumonitis.